For a bodily movement of a small tooth the force required
is
1. 25 - 30g
2. 40 - 75g
3. 120 - 150g
4. More than 150g

Correct answer: 2. 40 - 75g